Factor increasing gastric motility:
1. Presence of fatty food in stomach
2. Distension of stomach
3. Presence of tryptophan in stomach
4. Presence of acid in stomach

Correct answer: 2. Distension of stomach

Explanation: Promoters of gastric emptying Chemical | Gastrin Mechanical | Gastric Distension Inhibitors of gastric emptying: Enterogastric inhibition: Duodenal distension Irritation of duodenal mucosa Acidic chyme Hyperosmolar chyme High fat content of chyme Hormonal inhibition: 6. CCK